Vitamin D is maximum in -
1. Milk
2. Fish fat
3. Eggs
4. Cod liver oil

Correct answer: 4. Cod liver oil

Explanation: Cod liver oil But overall Richest source is Halibut liver oil Ref: Park 25th edition Pgno : 653